The most reliable method of estimating blood alcohol level is:
1. Cavett's test
2. Breath alcohol analyzer
3. Gas liquid chromatography
4. Thin layer chromatography

Correct answer: 3. Gas liquid chromatography

Explanation: Ans. Gas liquid chromatography